Insulin causes decrease in activity of which enzyme?
1. PFK-1
2. Glucokinase
3. Pyruvate Carboxylase
4. Acetyl CoA Carboxylase

Correct answer: 3. Pyruvate Carboxylase

Explanation: Ans. is 'c' i.e., Pyruvate carboxylase -Enzymes / Pathways activated by insulinGlycolysis : PFK-1, Pyruvate kinase, glucokinase, PDH.Glycogenesis : Glycogen synthase.Lipogenesis : Acetyl-Co-carboxylase, Fatty acid synthase.Cholesterol synthesis : HMG - CoA reductase.Triglyceride synthesis : Acyl - CoA glycerol-3-P transferase, glycerol kinase.Lipoprotein degradation : Lipoprotein lipase. -Enzymes /Pathways inhibited by insulin :Gluconeogenesis : Pyruvate carboxylase, PEP carboxykinase, fructose-1, 6-bisphosphatase, glucose-6 phosphataseGlycogenolysis : Glycogen phosphorylaseLipolysis : Hormone sensitive lipase.